Ground glass hepatocytes are seen in
1. Hepatitis A virus infection
2. Hepatitis B virus infection
3. Hepatitis C virus infection
4. Hepatitis D virus infection

Correct answer: 2. Hepatitis B virus infection

Explanation: Ground glass hepatocytes are liver cells which have eosinophilic, granular, glassy cytoplasm on light microscopy. It is due to HBs Ag accumulation inside the cells, seen in Hepatitis B virus infection.